Esthetic restorative materials are
1. Glass ionomer cement
2. composite
3. silicate
4. all of the above

Correct answer: 4. all of the above